The artery commonly involved in cirsoidaneurysm is -
1. Occipital
2. Superficial temporal
3. Internal carotid
4. External carotid

Correct answer: 2. Superficial temporal